Rosettes found at the lid margin are a feature of
1. Ulcerative blepharitis
2. Squamous blepharitis
3. Both of the above
4. None of the above

Correct answer: 1. Ulcerative blepharitis

Explanation: Ulcerative blepharitis Etiology: It is a chronic staphylococcal infection of the lid margin usually caused by coagulase positive strains. The disorder usually starts in childhood and may continue throughout life. Symptoms: These include chronic irritation, itching, mild lacrimation, gluing of cilia, and photophobia. The symptoms are characteristically worse in the morning. Signs: Yellow crusts are seen at the root of cilia which glue them together. Small ulcers, which bleed easily, are seen on removing the crusts. In between the crusts, the anterior lid margin may show dilated blood vessels (rosettes). Ref:- A K KHURANA; pg num:-344